Mcdonald’s criteria is used in diagnosis of
1. Friedreich ataxia
2. Multiple myeloma
3. Multiple sclerosis
4. Lateral sclerosis

Correct answer: 3. Multiple sclerosis

Explanation: Multiple sclerosis is diagnosed by Mcdonald’s criteria